A patient presents with painful blister along the chest wall. All of the following tests are useful for diagnosis except?
1. Direct Fluorescent antibody
2. Polymerase chain reaction
3. Tzansk smear
4. LDH levels

Correct answer: 4. LDH levels

Explanation: Ans. (d) LDH levels.Note vesicles along the dermatome of a thoracic nerve caused by varicella-zoster virus. Laboratory studies for VZV include the following:* Direct fluorescent antibody (DFA) testing of vesicular fluid or a corneal lesion* Polymerase chain reaction (PCR) testing of vesicular fluid, a corneal lesion, or blood* Tzanck smear of vesicular fluid (lower sensitivity and specificity than DFA or PCR).Image source- style="font-family: Times New Roman, Times, serif">